Loosening of association is an example of
1. Formal Thought disorder
2. perceptional disorder
3. Perseveration
4. Concrete thinking

Correct answer: 1. Formal Thought disorder

Explanation: The disorders of form of thought include looseness of associations, derailment, incoherence, tangentiality, circumstantiality, neologisms, echolalia, verbigeration, word salad, and mutism. Loosening of assosiation is a type of formal thought disorder where the patient's thoughts are not connected and there are no meaningful connections. this is a charecterstic feuture of schizophrenia. this is one of the 4A's of schizophrenia that was given by Eugene Bleuler. 4A's that is given by schizophrenia is the most repeated question they are autism ambivalance apathy assosiation loss or loosening of assosiation Reference: Kaplan & Sadock's synopsis of psychiatry 11th edition, page 313,300